Causative organism for botryomycosis?
1. S.aureus
2. S.pyogenes
3. Clostridium
4. Bacillus Cereus

Correct answer: 1. S.aureus

Explanation: S.aureus is the most common agent for botryomycosis. It is a mycetoma-like condition.